Most common extra articular manifestation of Ankylosing spondylitis is
1. Anterior uveitis
2. Inflammatory bowel disease
3. Gallstones
4. Heart block

Correct answer: 1. Anterior uveitis

Explanation: (A) Anterior uveitis # Most common extra articular manifestation is ACUTE ANTERIOR UVEITIS, which occurs in 40% of patients and can antedate the spondylitis. Attacks are typically unilateral, causing pain, photophobia, & increased lacrimation. These tend to recur, often in opposite eye. Up to 60% of patients have inflammation in the colon or ileum. This is usually asymptomatic, but in 5 to 10% of patients with AS, frank IBD will develop. Aortic insufficiency, sometimes producing symptoms of congestive heart failure, occurs in a few percent of patients, occasionally early in the course of the spinal disease but usually after prolonged disease. Third-degree heart block may occur alone or together with aortic insufficiency. Gall stones are not a prominent feature. Mortality attributable to AS is largely the result of spinal trauma, aortic insufficiency, respiratory failure, amyloid nephropathy, or complications of therapy such as upper gastrointestinal hemorrhage.